Acetyl CoA, which cordinates carbohydrate, ketone and fat pathways can be directly converted to all of the following, except:
1. Glucose
2. Fatty acids
3. Cholesterol
4. Ketone bodies

Correct answer: 1. Glucose

Explanation: Acetyl CoA cannot be converted to glucose. Acetyl CoA cannot be directly converted to pyruvate on a net basis since the two carbon backbone of acetyl CoA cannot be converted to oxaloacetate the TCA cycle because two carbons are lost as carbon dioxide. Acetyl CoA has a special central role. It cordinates carbohydrates, ketone and fat pathways. Acetyl CoA formed can then undergo multiple fates: It can be oxidized to produce energy Citric acid cycle (TCA cycle). In fed state it is directed toward synthesis of cholesterol and/ or fats/ triacylglycerols in the liver. Excess acetyl-CoA generated can be used for the synthesis of ketone bodies.